Most common site for peripheral aneurysm is:
1. Popliteal
2. Profunda femoral
3. Femoral
4. External iliac

Correct answer: 1. Popliteal

Explanation: Ans: A (Popliteal) Ref: Robbins Pathologic Basis of Disease, 8th edition & Harrison online Chapter 249.Explanation:"Popliteal artery aneurysms are the most common peripheral artery aneurysms".Popliteal Artery AneurysmPopliteal artery aneurysms are the most common peripheral artery aneurysms.Approximately 50% are bilateral.Associated with aneurysms of other arteries, especially the aorta.The most common clinical presentation is limb ischemia secondary to thrombosis or embolism.Rupture occurs less frequently.Other complications include compression of the adjacent popliteal vein or peroneal nerve.Popliteal artery aneurysm can be detected by palpation and confirmed by duplex ultrasonography.Repair is indicated for symptomatic aneurysms or when the diameter exceeds 2-3 cm. owing to the risk of thrombosis, embolism or rupture